All of the following are complications of burns except
1. Ectropion of eyelid
2. Macrostomia
3. Hypertrophic scar
4. Corneal ulcer

Correct answer: 2. Macrostomia

Explanation: Burns contracture causes microstomia.